A patient presents with Hb of 8 gm% , WBC count of 2000/mm3 and platlet count of 60000/mm3. What is your likely diagnosis?
1. Thalassemia
2. Sickle cell anemia
3. Aplastic anemia
4. Anemia of chronic disease

Correct answer: 3. Aplastic anemia

Explanation: ANSWER: (C) Aplastic anemiaREF: Harrison's 18th ed Ch: 107It's a straight forward diagnosis of Aplastic anemia since all the three cell lines of blood are reduced. The very basic question tests your knowledge of normal blood counts